Most common viral cause of acquired aqueductal stenosis is?
1. Rubella
2. Mumps
3. Toxoplasma
4. Enterovirus

Correct answer: 2. Mumps

Explanation: Mumps virus is neurotropic and is thought to enter the CNS the choroid plexus and infect the choroidal epithelium and ependymal cells,both of which can be found in CSF along with mononuclear leukocytes. CSF pleocytosis has been found. Less common CNS complications of mumps include transverse myelitis, aqueductal stenosis,and facial palsy. Reference: Nelson textbook of pediatrics 19th edition Page 1080